Which of the following antibody is incriminated in causing henoch schonlein purpura
1. IgA
2. IgM
3. IgG
4. IgD

Correct answer: 1. IgA

Explanation: Henoch schonlein purpura(IgA vasculitis) is characterized by Paplable purpura(most commo buttocks and lower extremities) Arthralgia Gastrointestinal signs and symptoms Glomerulonephritis Pathogenesis:immune complex deposition .IgA antibody class is the most often seen in immune complexes. Ref:Harrison 20th edition pg no 2586